Blockage of internal upper respiratory tract by some solid or semisolid material refers to
1. Gagging
2. Choking
3. Smothering
4. Traumatic asphyxia

Correct answer: 2. Choking

Explanation: CHOKING This term refers to the blockage of internal upper respiratory tract by some solid or semisolid material. The common agents may be piece of food, lump of meat, coins, buttons, set of false teeth, marbles, corns, etc Ref: TEXTBOOK OF FORENSIC MEDICINE AND TOXICOLOGY KRISHNAN VIJ FIFTH EDITION PAGE 117